Most common site of GIST?
1. Stomsch
2. Liver
3. kidey
4. Brain

Correct answer: 1. Stomsch

Explanation: GIST is a mesenchymal tumor with increased size and high levels of c-kit (CD117) GIST tumours are found most commonly in the stomach Occur most commonly in the 50-70-year age group. Presents with pain, nausea, hematemesis or melena. Surgery is the most effective way of removing GISTs, as they are radio-resistant. Imatinib Mesylate is the best drug Ref Bailey and love 27 e Stomach and duodenum